All of the following cause the secretion of gastric juice during the cephalic phase EXCEPT:
1. Food in mouth
2. Sight of food
3. Food in stomach
4. Thought of food

Correct answer: 3. Food in stomach

Explanation: Cephalic Phase: The cephalic phase of gastric secretion occurs even before food enters the stomach, especially while it is being eaten. It results from the sight, smell, thought, or taste of food, and the greater the appetite, the more intense is the stimulation.  Neurogenic signals that cause the cephalic phase of gastric secretion originate in the cerebral cortex and in the appetite centers of the amygdala and hypothalamus. They are transmitted through the dorsal motor nuclei of the vagi and thence through the vagus nerves to the stomach. This phase of secretion normally accounts for about 30 percent of the gastric secretion associated with eating a meal.
Reference: GUYTON AND HALL TEXTBOOK OF MEDICAL PHYSIOLOGY,THIRTEENTH EDITION page 823